Topical antifungal used in corneal fungal infection –
1. Silver sulfadiazine
2. Neomycin
3. Natamycin
4. Griseofulvin

Correct answer: 3. Natamycin

Explanation: Natamycin eye drops are the DOC for filamentous fungi (Aspergillus, Fusarium) and amphotericin B is the DOC for candida.